Best approach for surgical repair of the injury to abdominal aorta above the level of renal artery involving superior artery, celiac trunk, and the suprarenal branch:
1. Right medial visceral rotation
2. Left medial visceral rotation
3. Right lateral visceral rotation
4. Left lateral visceral rotation

Correct answer: 2. Left medial visceral rotation

Explanation: Left medial visceral rotation exposes entire length of abdominal aorta, celiac axis, proximal part of mesenteric arteries and proximal left renal artery. Maneuvers for Retroperitoneal Exposure Kocher's Maneuvre Extended Kocher's Maneuver Mattox Maneuver Cattel-Braasch Maneuver Surgical maneuver to expose structures in the retroperitoneum behind the duodenum and pancreas Used for mobilization of duodenum Right sided medial visceral rotation Right colon and duodenum is reflected medially Exposes IVC, Infrarenal aorta, right renal artery and iliac vessels Recommended for drainage of Inframesocolic hematoma Left sided medial visceral rotation. Left sided viscera(Left Kidney, left colon, Spleen and Pancreas) are brought to midline Exposes entire length of abdominal aorta, celiac axis, proximal part of mesenteric arteries and proximal left renal artery. Recommended for drainage of Central supra-mesocolic hematoma For extensive retroperitoneal exposure Right colon is fully mobilized and reflected medially Good option for exposure of the infrapancreatic segment Ref: Sabiston 20th edition Pgno: 1546